Ectopic ureter may be frequently associated with –a) Oliguriab) Dysuriac) Bilateral hydroureterd) Paradoxical incontinence
1. c
2. d
3. ab
4. bd

Correct answer: 4. bd

Explanation: Clinical manifestations of ectopic ureter

Female → Urinary incontinence, UTI
Male → UTI or epididymitis

Note - Dysuria occurs in UTI.
Treatment

If renal function is satisfactory → Ureteral reimplantation into bladder neck or ureteroureterostomy.
If renal function is poor → Partial or total nephrectomy.